Antithyroid drug contraindicated in pregnancy ?
1. Propylthiouracil
2. 1131
3. Methimazole
4. Carbimazole

Correct answer: 2. 1131

Explanation: Ans. is'b'i.e., I 131lRef: KDT 7tu/e p. 25Antithyroid treatment contraindicated in pregnancyThyroidectomy and I 131 are contraindicated during pregnancy.